Which is the enzyme that prevents the adhesion of actinomyces to adhere to the tooth structure?
1. Enolase
2. Glucosyl transferase
3. Xanthine oxidase
4. Myeloperoxidase

Correct answer: 4. Myeloperoxidase